A Patient with history of shortness of breath has Decreased FEV1/FVC Ratio, Normal DLCO. A 200 ml increase in baseline FEVI is observed 15 minutes after administration of bronchodilators. The likely diagnosis is -
1. Asthma
2. Chronic Bronchitis
3. Emphysema
4. Interstitial Lung Disease

Correct answer: 1. Asthma

Explanation: Ans. is 'a' i.e., Asthma